Gamma globulin are synthesized in ?
1. Liver
2. Spleen
3. Kidney
4. Plasma cells

Correct answer: 4. Plasma cells

Explanation: Ans. is 'd' i.e., Plasma cellsLiver synthesizes most of the proteins of body except immunoglobulins (gamma globulins), which are synthesized by plasma cells.